Familial hypercholesterolemia is characterized by-
1. Increased LDL
2. Decreased lipoprotein lipase
3. Increased VLDL
4. All of the above

Correct answer: 1. Increased LDL

Explanation: Ans. is 'a' i.e., Increased LDL Type IType IIaType IIbType IIIType IVType VProblemo Decreased lipoprotein lipase or Apo C-IIo LDL receptor deficiencyo |LDL receptor, increased Apo B-100o Defect in Apo-Eo Increased VLDL production and decreased elimination (Due to apo V deficiency)o Same as in type IV, but more severeLipoproteino Elevated chylomicrons (also VLDL some times)o |LDLo |VLDLo |LDLo Increased chylomicron remnants and IDLo |VLDLo |VLDL and chylomicronCholesterol|||||||||N|||Triglyceride||||N|||||||||NomenclatureFamilial lipoprotein lipase deficiencyo Familial hyper choleserolemiao Familial combined hyperlipidemiao Familial dys- beta lip oprei- nemiao Familial hypertriglyceridemiao Endogenous hypertrigly- cedemia